Hypercalcemia is seen in-
1. Renal osteodystrophy
2. Vit D resistant rickets
3. Hypoparathyroidism
4. Williams syndrome

Correct answer: 4. Williams syndrome

Explanation: People with Williams syndrome (also known as Williams Beuren syndrome or WS) may have problems handling calcium. Most children with WS have blood levels of calcium that are in the high normal range with a smaller fraction of affected individuals (around 15 percent) having very high levels of calcium (hypercalcemia) Ref Davidson 23ed pg 371